Pro inflammatory Cytokines include all of the following except -
1. Interleukin 1
2. Interleukin-10
3. Interleukin6
4. TNF-Alpha

Correct answer: 2. Interleukin-10

Explanation: Ans. is 'b' i.e., Interleukin-10 o Cytokines are involved in immunological reaction, but some cytokines may also take part in inflammation.o They may be: -1. Proinflammatorv cytokineso Involved in amplification of inflammation and tissue destruction.o IL-1 & TNF-a are the two most important proinflammatorv cytokines. IL-6 may also act as proinflammatorv cytokine.o Other proinflammatory cytokines are IL-2, IL-4, IL-5, IL-6, IL-8, IL-I1, IL-12, IL-15, IL-21, IL-23, IFN- gamma and granulocyte- macrophage- colony stimulatinhg factor (GM-CSF). ( Source Fundamental immunology by William E. Paul).2 Antinflammatory cytokineso Reduce inflammation and produce healing,o Example are IL-4, IL-13, IL-1L-10